Patient developed acute redness of eye with mucopurulent discharge and halos. It did not stain with fluorescein. The halos subsided after washing with clean water and the patient responded to five day course of topical antibiotics. What should be your probable diagnosis?
1. Angle closure glaucoma
2. Uveitis
3. Acute bacterial conjunctivitis
4. Immature senile cataract

Correct answer: 3. Acute bacterial conjunctivitis

Explanation: Acute bacterial conjunctivitis Approach to Question Halos of conjunctivitis are due to prismatic effect of mucus and are removed by washing unlike that of angle closure glaucoma and immature senile cataract and uveitis. Other Points in or are: Acute onset. No corneal staining.(flourscein staining is seen in case of viral kerataitis) Mucopurulent discharge.